Which of the following can be viewed on a conventional radiograph?
1. Buccal curvature of roots
2. Gingival fibers
3. Calcification of canals
4. Periodontal ligament

Correct answer: 3. Calcification of canals

Explanation: Calcification of canals. Buccal curvature cannot be seen from the conventional radiographs. Gingival fibers and the periodontal ligament, being connective tissues, are radiolucent radiographically.